A pregnant woman in third trimester complains of hearing her own sounds. Examination of the ear shows movements of tympanic membrane synchronous with respiration and especially exaggerated when nostril on the contralateral side is occluded. Your diagnosis is:
1. Eustachian tube obstruction
2. Patulous eustachian tube
3. Otitis media with effusion
4. Otosclerosis

Correct answer: 2. Patulous eustachian tube

Explanation: Patulous eustachian tube is an abnormally patent tube seen in the third trimester of pregnancy or in rapid weight loss. Symptoms complained by her are due to autophony. Conductive hearing loss due to otosclerosis, otitis media with effusion and retracted tympanic membrane also conduct body sounds to the ear but her tympanic membrane findings of movement with respiration are typically seen in patulous eustachian tube.